"Confusional assessment method" is used for :
1. Dementia
2. Schizophrenia
3. Bipolar disorder
4. Delirium

Correct answer: 4. Delirium

Explanation: Delirium is an organic brain disorder of acute onset & fluctuating course characterized by altered sensorium / disturbed consciousness.
Confusional assessment method & bed side tests like MMSE are used to evaluate delirium.